immobilization of right medial visceral rotation to visualise IVC during surgery is called ?
1. kochers manouver
2. mattox manuover
3. cattles-braasch manouver
4. pringles manouver

Correct answer: 3. cattles-braasch manouver

Explanation: CATTELL-BRAASCH The right colon, duodenum, and head of the pancreas are mobilized to expose the vena cava, the iliac veins, and the right renal artery and vein. The renal artery is exposed by retracting the vein either cephalic or caudal. MATTOX MANEUVER * Mobilizes the splenic flexure of the colon inferio-medially and then allows mobilization of the kidney, spleen and pancreas superior-medially. * Completely exposes the anterior and lateral aspect of the aorta, gives direct access to the celiac trunk, superior and inferior mesenteric arteries KOCHER MANEUVER 1. Identify duodenum 2. Incise posterior peritoneum immediate lateral 3. Reflect the duodenum and pancreatic head from retroperitoneum 4. Allows access to infrahepatic IVC, distal CBD, duodenum, pancreatic head, right renal hilum pringles maneuver : clamping cbd,portal vein ,hepatic artery along the free border of lesser omentum during liver injury for 1hr ref : bailey and love 27th ed